Filaria dance sign is seen with?
1. Radiography
2. Ultrasonography
3. HRCT
4. Nuclear scan

Correct answer: 2. Ultrasonography

Explanation: Ans. B. Ultrasonographya. In cases of suspected lymphatic filariasis, examination of the scrotum or the female breast using high-frequency ultrasound in conjunction with doppler techniques may result in the identification of motile adult worms within dilated lymphatics.b. Worms may be visualized in the lymphatics of the spermatic cord in up to 80% of infected men.c. Live adult worms have a distinctive pattern of movement within the lymphatic vessels (termed the filaria dance sign).d. Radionuclide lymphoscintigraphic imaging of the limbs reliably demonstrates widespread lymphatic abnormalities in both asymptomatic microfilaremia persons and those with clinical manifestations of lymphatic pathology.e. While of potential utility in the delineation of anatomic changes associated with infection, lymphoscintigraphy is unlikely to assume primacy in the diagnostic evaluation of individuals with suspected infection; it is principally a research tool, although it has been used more widely for assessment of lymphedema of all causes.